Old male came with jaundice, palpable mass in the right hypochondrium not associated with pain.
1. Carcinoma Ampulla of Vaster
2. Acute cholecystitis
3. Chronic cholecystitis
4. Chronic pancreatitis

Correct answer: 1. Carcinoma Ampulla of Vaster

Explanation: Ans. (a) Carcinoma Ampulla of VaterRef: Long cases surgery RRM* As per Courvoisier law"GB palpable is due to cancer-Distal CBD or Periampullary cancer"